The common cause of bilateral internuclear ophthalmoplegia is
1. Diabetes mellitus
2. Multiple sclerosis
3. Lead toxicity
4. Diphtheria

Correct answer: 2. Multiple sclerosis

Explanation: Multiple sclerosis It is a demyelinating disorder of unknown etiology, affecting women more often than men, usually in the 15-50 years age group. Pathologically, the condition is characterised by a patchy destruction of the myelin sheaths throughout the central nervous system. Clinical course of the condition: It is marked by remissions and relapses. In this condition, optic neuritis is usually unilateral. Other ocular lesions include bilateral internuclear ophthalmoplegia and vestibular or cerebellar nystagmus. Ref:- A K KHURANA; pg num:- 310